Left sided portal hypertension is best treated by:
1. Splenectomy
2. Portocaval shunt
3. Lienorenal shunt
4. Splenorenal shunt

Correct answer: 1. Splenectomy

Explanation: Acute pancreatitis - Splenic vein thrombosis & pseudo-aneurysm formation in splenic artery - Splenomegaly - Gastric varices Mainly along greater curvature of the stomach & fundus Left sided portal hypertension is also called as SINISTRAL hypertension TOC is splenectomy.